Which of the following is an alternative to methadone for maintenance treatment of opiate dependence?
1. Diazepam
2. Chloridazepoxide
3. Buprenorphine
4. Dextropropoxyphene

Correct answer: 3. Buprenorphine

Explanation: MAINTENANCE TREATMENT OF OPIOID DEPENDENCE: Opioid Substitution Therapy Methadone Buprenorphine Levomethadyl (LAAM) Opioid Antagonists Naltrexone (oral) Naloxone (injectible, short acting)